Investigation to diagnose carcinoma head of pancrease are/is -a) Hypotonic duodenogramb) X-ray abdomenc) USGd) Endoscopye) C.T. Scan
1. bce
2. acde
3. abcd
4. abde

Correct answer: 2. acde

Explanation: Investigations done in pancreatic cancer


​USG
CT scan
ERCP
Endoscopic U/S
Angiography
Barium studies - barium meal & hypotonic duodenography
Contrast enhanced CT scan is the inv. of choice.